The 22-year-old female patient cried out in agony from the pain of her burst appendix. Which of the following structures contain the neuronal cell bodies of the pain fibers from the appendix?
1. Sympathetic chain ganglia
2. Celiac ganglion
3. Lateral horn of the spinal cord
4. Dorsal root ganglia of spinal nerves T8 to T10

Correct answer: 4. Dorsal root ganglia of spinal nerves T8 to T10

Explanation: The dorsal root ganglia contain all cell bodies of sensory neurons from the body wall and limbs. Afferent fibers from the appendix travel in T8 to T10. The sympathetic chain contains postganglionic sympathetic cell bodies that are targeted to smooth muscle and glands of the viscera and heart muscle. The greater splanchnic nerve (T5 to T9) carries preganglionic sympathetic axons to the celiac ganglion, which is formed by postganglionic sympathetic neurons. The lateral horn of the spinal cord is found in levels T1 to L2 and contains preganglionic sympathetic cell bodies.